Thunderclap headache is a feature of
1. TIA
2. Completed stroke
3. ICH
4. SAH

Correct answer: 4. SAH

Explanation: Ans. (d) SAHRef: Sabiston 20th Page 1904* Subarachnoid hemorrhage usually results in a sudden severe thunderclap headache. A patients describes the worst headache of my life.